Anti ds DNA is most specific for:
1. SLE
2. Rheumatoid arthritis
3. Scleroderma
4. Polymyositis

Correct answer: 1. SLE

Explanation: Answer is A (SLE): Anti Ds DNA antibodies are specific for SLE